Scab or crust of abrasion appears brown in:
1. 12-24 h
2. 2-3 days
3. 4-5 days
4. 5-7 days

Correct answer: 2. 2-3 days

Explanation: Ans. 2-3 days